cutaneous maculopapulary rash of the head and neck preceded by small ulcers in the buccal mucosa would suggest which of the following?
1. Primary herpes simplex infection
2. Rubeola
3. Varicella
4. Primary syphilis

Correct answer: 2. Rubeola

Explanation: The maculopapulary rash of rubeola (measles) is preceded by the herald sign of Koplick’s spots (punctate ulcers of the buccal mucosa)